Antidiabetic drug with insulin independent action is ?
1. SGLT2 inhibitor
2. DPP4 inhibitor
3. Meglitinide analogues
4. GLP1 agonist

Correct answer: 1. SGLT2 inhibitor

Explanation: Ans. is'a'i.e., SGLT 2 inhibitor(Ref: KDT p.270)Sodium-glucose cotransport-2 (SGLT-2) inhibitor: Dapagliflozin - antidiabetic drugs - action independent of insulin